Vestibular evoked myogenic potential detects lesion of
1. Cochlear Nerve
2. Facial Nerve
3. Inferior Vestibular Nerve
4. Inflammatory Myopathy

Correct answer: 3. Inferior Vestibular Nerve

Explanation: Vestibular evoked myogenic potentials: It is to study function of otolith organs - sacule and utricle These are supplied by inferior vestibular nerve and superior vestibular nerve respectively These potentials can be picked up from either sternocleidomastoid or ocular muscles Ref : Dhingra 7e pg 46.